Massive blood transfusion is defined as
1. 500 ml in 10 min
2. 250 ml in 5 min
3. 1 unit in 1 hour
4. 2500 ml or 5000 ml in 24 hours

Correct answer: 4. 2500 ml or 5000 ml in 24 hours

Explanation: According to Schwartz Massive transfusion is a single transfusion of 2500 or 5000 ml over a period of 24 hours .